Cholesteatoma occurs in:
1. CSOM with central perforation
2. Masked mastoiditis
3. Coalescent mastoiditis
4. Acute necrotising Otitis media

Correct answer: 4. Acute necrotising Otitis media

Explanation: (d) Acute necrotising Otitis media(Ref. Cummings, 6th ed., 2146)The MC route of secondary cholesteatoma is migration of keratinising stratified squamous epithelium through marginal perforation of TM.This marginal perforation follows ANOM.Rest of the choices are not associated with cholesteatoma.